Bicalutamide is a specific inhibitor of -
1. 5-alpha reductase
2. Androgen receptors
3. Aromatase
4. Estrogen receptor

Correct answer: 2. Androgen receptors

Explanation: Ans. is 'b' i.e., Androgen receptors